Ulnar injury in the arm leads to all except:
1. Sensory loss of the medial 1/3rd of the hand
2. Weakness of the hypothenar muscles
3. Claw hand
4. Adducted thumb

Correct answer: 4. Adducted thumb

Explanation: D i.e., Adducted thumb Adductor pollicis, which is supplied by ulnar nerve, is paralysed in ulnar nerve injury. This results in loss of thumb adduction & Froment's signQ (i.e., use of FPL in place of adductors to hold paper/book between thumb & index finger)